Which bony structure protects the middle meningeal artery?
1. Nasion
2. Pterion
3. Bregma
4. Occiput

Correct answer: 2. Pterion

Explanation: Ans. is 'b' i.e., Pterion * The pterion is the region where the frontal, parietal, temporal, and sphenoid joined together It is located on the side of the skull, just behind the temple.* It is the junction between four bones:i) The parietal boneii) The squamous part of temporal boneiii) The greater wing of sphenoid boneiv) The frontal bone* The pterion is known as the weakest part of the skull. The anterior division of the middle meningeal artery runs underneath the pterion Consequently, a traumatic blow to the pterion may rupture the middle meningeal artery causing extradural hemorrhage.